A dead body was found to have wounds all over the body. Antemortem and postmortem wounds could be differentiated by all of the following findings, EXCEPT:
1. Everted margins
2. Blood clots in surrounding tissue
3. Swollen edges
4. Sharp edges

Correct answer: 4. Sharp edges

Explanation: Difference between ante-mortem and post-mortem wounds: Trait Ante-mortem wounds Post-mortem wounds Edges: Swollen, everted, retracted, and wound gapes Edges do not gap, but are closely approximated Haemorrhage: Abundant and usually arterial Slight or more and venous Spurting: Signs of spurting of arterial blood on the body, clothing or in its vicinity present No spurting of blood Extravasation: Staining of the edges of the wound and extravasation in neighbouring subcutaneous and interstitial tissues which cannot be removed by washing Edges and cellular tissues are not deeply stained. The stain can be removed by washing Coagulation: Firmly coagulated blood in wounds and tissues No clotting or soft clot Vital reaction: Present Absent Enzyme histochemistry: Increased enzyme activity Diminished or no enzyme activity Ref: The Essentials of Forensic Medicine and Toxicology by Narayan Reddy, 27th edition, Page 273.